All of the following are the features of glycoproteins, except :
1. Highly-branched oligosaccharide
2. Presence of amino sugar
3. Absence of glucuronic acid
4. Presence of disaccharide repeat unit

Correct answer: 4. Presence of disaccharide repeat unit

Explanation: Option d, i.e., the presence of disaccharide repeat unit is a feature of proteoglycans. Glycoprotein Proteoglycans Oligosaccharide chains short ,highly branched long, unbranched Components Amino sugars are present. Uronic acid is absent. Amino sugars and uronic acid are present. Disaccharide unit No repeating disaccharide unit. Disaccharide repeat unit (-Amino sugar-Hexuronic acid-) is present Site Cell surface proteins and secretory proteins are glycoproteins Connective tissue proteins are proteoglycans.